Carcinoma of the prostate arise from -
1. Central zone
2. Peripheral zone
3. Transitional zone
4. Periurethral zone

Correct answer: 2. Peripheral zone